Toxic effects of long term administration of a gluco–cortocoid include:
1. Hepatotoxicity
2. Osteoporosis
3. Precocious puberty
4. Lupus like syndrome

Correct answer: 2. Osteoporosis